Histoplasma capsulatum is a:
1. Protozoa
2. Dimorphic fungus
3. Amphotercin resistant
4. Capsulated

Correct answer: 2. Dimorphic fungus

Explanation: Dimorphic fungus